Blood components products are:
1. Whole blood
2. Platelets
3. Fresh frozen plasma
4. All of the above

Correct answer: 4. All of the above

Explanation: Answer is D (All of the above) Commonly used blood components Product Description Common Indications Whole Blood No elements removed * Not for routine use I unit = 450 ml +- 45m/ Contains RBC, WBC, plasma and platelets (WBC * Acute, massive bleeding & platelets may be nonfunctional) Deficienct in factors V & VII *Open heart surgery * Neonatal total exchange Packed Red Cells (PRBC) Most plasma, WBC, platelets removed; * Replacement in chronic and acute blood loss, GI bleeding, I unit = 250 -- 300 nil 1 unit should raise HCT 3% trauma Leukocyte -Poor Red cells Most WBC removed by filtration to make it less * Potential renal transplant patients (Leukocute reduced) Red antigenic * Previous febrile transfusion reactions cells < 5 x 106 WBC., few platelets, minimal plasma * Patients requiring multiple transfusions (leukemia etc) I unit = 200-250 ml Washed RBCs Like leukocyte-poor red cells, but WBC almost * As for leucocyte poor red cells, but very expensive and I unit = 300 ml completely removed much more purified. < 5 x 106 WBC, no plasma Granulocytes, Phoresis Some RBC, > 1 x 1016 PMN/unit, Lymphocytes. I will = 220 nil platelets Platelets (smple unit) 1 "pack" should raise count by 5000-8000 * Decreased production or destruction (aplastic anemia, 1 pack = about 50 ml "6 pack" means a pool of platelets from 6 units of acute leukemia, post-chemo etc) blood. * Counts <5000-10,000 (risk of spontaneous hemorrhage) > 5 x le platelets unit, contains RBC, WBC * Counts 10,000-30,000 if risk of bleeding (headache, GI losses, contagious petechiae) or active bleeding * Counts <50,000 for major surgery * Usually not indicated in ITP or TTP unless life-threatening bleeding or preoperative status. Platelets (Phoresis unit) > 3 x leplatelets/unit May be HLA matched I unit = 300 ml Leukocyte- Reduced Platelets As above, but < 5 x 106 WBC/unit * May decrease febrile reaction and CMV transmission, alloimmunization to HLA antigens Cryoprecipitate ("Cryo") Contains factors VIII. XIII, von Willebrand factor * Hemophilia A (factor VIII deficiency), when safer factor / unit = 10 iiil and fibrinogen VIII concentrate not available; * von Willebrand disease, fibrinogen deficiency Fresh frozen Plasma Contains factors II, VII, IX, X, XI, XII, XIII and * Emergency reversal of warfarin (FFP) heat labile V and VII * Massive transfusion (>5 L in adults) I unit =150-250 ml About 1 h to thaw (400 - if ml (400-600 - single-donor single * Hypoglobulinemia (IV immune globulin preferred) pheresis) * Suspected or documented coagulopathy (congenital or acquired) with active bleeding or before surgery * Clotting factor replacement when concentrates unavailable * Not recommended for volume replacement